Most common tumor of heart valves:
1. Papillary fibroelastoma
2. Malignant fibrous histiocytoma
3. Angiosarcoma
4. Rhabdomyosarcoma

Correct answer: 1. Papillary fibroelastoma

Explanation: Most common tumor of heart valves in papillary fibroelastoma. Small and single, occur most often on valvular surfaces, and may be mobile, resulting in embolization. Because of the potential for embolic events, symptomatic patients, patients undergoing cardiac surgery for other lesions, and those with highly mobile and large PF should be considered for surgical excision Remnants of CMV have been recovered from these tumors, raising the possibility that they arise as a result of chronic viral endocarditis